Enzyme that protects the brain from free radical injury is ?
1. Myeloperoxidase
2. MAO
3. Superoxide dismutase
4. Hydroxylase

Correct answer: 3. Superoxide dismutase

Explanation: Ans. is 'c' i.e., Super oxide dismutase